Microscopy of corneal ulcer showed branching septate hyphae. The probable diagnosis is:
1. Candida
2. Mucormycosis
3. Aspergillus
4. Histoplasma

Correct answer: 3. Aspergillus

Explanation: Ans. Aspergillus